The drug used in petit mal seizures and has a narrow spectrum of antiepileptic activity is
1. Lamotrigine
2. Ethosuximide
3. Phenytoin
4. Primidone

Correct answer: 2. Ethosuximide

Explanation: Ethosuximide and valproate are the drugs of choice for absence seizures and are more effective than lamotrigineReference: Katzung Pharmacology; 12th edition; Page no: 418